Broad beta band in electrophoretic pattern of lipoproteins present in:
1. Type I hyperlipoproteinemia
2. Type IIa hyperlipoproteinemia
3. Type III hyperlipoproteinemia
4. Type IV hyperlipoproteinemia

Correct answer: 3. Type III hyperlipoproteinemia

Explanation: Figure: Electrophoresis showing the broad beta band. Familial type III hyperlipoproteinemia is also known as broad beta disease, remnant removal disease or familial dysbetalipoproteinemia The defect is in the clearance of remnant lipoproteins by the liver due to abnormality in apo E. Features: Increase in chylomicron and VLDL remnants of density <1.019 (b-VLDL) hypercholesterolemia, xanthomas, and atherosclerosis.